Petechiae is?
1. Pin point hemorrhage of the skin
2. Hemorrhagic patch of the skin with size < 0.5 mm in diameter
3. Hemorrhagic patch of the skin with size 0.5 to 1 mm in diameter
4. Irregular hemorrhagic patch in the skin

Correct answer: 1. Pin point hemorrhage of the skin